Which of the following drugs is not used for H.pylori treatment?
1. Oxytetracycline
2. Bismuth compounds
3. Amoxicillin
4. Omeprazole

Correct answer: 1. Oxytetracycline

Explanation: (ref :KDT 6/e p637)